Drug used for intralesional injection keloid is:
1. Prednisolone
2. Triamcinolone
3. Androgen
4. Hydrocortisone

Correct answer: 2. Triamcinolone

Explanation: Treatment of Hypertrophic and Keloid scars Pressure - Local moulds or elasticated garments Silicone gel sheeting (mechanism unknown) Intralesional steroid injection (triamcinolone) Excision and steroid injections Excision and postoperative radiation (external beam or brachytherapy) Intralesional excision (keloids only) Laser - to reduce redness (which may resolve in any event) Vitamin E or palm oil massage